Motile spermatozoa found in wet mount of vaginal secretions indicates of intercourse within the past:
1. 3 hours
2. 12 hours
3. 24 hours
4. 48 hours

Correct answer: 2. 12 hours

Explanation: Motile spermatozoa should be found in vagina for 6-12 hrs they are likely to be found upto 3 days later,and occasionally they are found 7 days later.